In Random flaps, the length to breadth ratio should be no more than
1. 1:01
2. 1.5:1
3. 2:01
4. 2.5:1

Correct answer: 2. 1.5:1

Explanation: Random flaps. Three sides of a rectangle, bearing no specific relationship to where the blood supply enters the length to breadth ratio is no more than 1.5:1Axial flaps. Much longer flaps, based on known blood vessels supplying the skin.